Which of the following statements concerning skin melanocytes is true?
1. They synthesize a pigment that protects against damage caused by UV radiation.
2. They are located only in the dermis.
3. They produce keratohyalin granules.
4. They may give rise to basal cell carcinoma

Correct answer: 1. They synthesize a pigment that protects against damage caused by UV radiation.

Explanation: Melanocytes are present in the stratum basale of the epidermis. They synthesize melanin pigment and transfer it to keratinocytes to protect against damage caused by UV radiation. Melanocytes can give rise to a form of skin cancer called malignant melanoma. They derive from neural crest and migrate into the epidermis early during embryonic development.